Necrotising arterioritis with fibrinoid necrosis is characteristic of
1. Immediate hypersensitivity
2. Cell mediated immunity
3. Ag-Ab complex mediated
4. Cytotoxic mediated

Correct answer: 3. Ag-Ab complex mediated

Explanation: Fibrinoid necrosis is a special form of necrosis, visible by light microscopy , usually in immune reaction in which complexes of antigens and antibodies are deposited in the walls of arteries. The deposited immune complexes together with fibrin that has leaked out of vessels produce a bright pink and amorphous appearance on H & E preparation called fibrinoid. Type 3 hypersensitivity disorder Robbins 9th edition page 111,11